Which of the following test detects presence of glycogen in superficial cells of vaginal epithelium
1. Pap smear
2. Schiller Test
3. Benzidine Test
4. Seliwanoff's Test

Correct answer: 2. Schiller Test

Explanation: Schiller Test: Vaginal wall is stained with Lugol's iodine. In presence of glycogen, vaginal epithelium takes mahogany brown colour.